The nuclei of langerhan's giants cells -
1. Are present at the centre
2. Form a network
3. Are arranged radially
4. Are arranged around the periphery

Correct answer: 4. Are arranged around the periphery

Explanation: Ans. is 'd' i.e., Are arranged around periphery